Specific protection is a type of
1. Primary prevention
2. Early secondary prevention
3. Late secondary prevention
4. Tertiary prevention

Correct answer: 1. Primary prevention

Explanation: (A) Primary prevention LEVELS OF PREVENTION* Primordial preventionPrevention of emergence of risk factor, through education* Primary preventionElimination or modification of risk factors throughPopulation (Mass) strategyHigh risk strategy* Secondary preventionActions which halts the progress of the disease at its incipient stage and prevent complication through early diagnosis of adequate treatment* Tertiary preventionIntervention in the late pathogenesis phase - to reduce or limit impair-ment and disabilities through rehabilitation-- psychosocial, vocational etc.